Closure of glottis is by, all except -
1. Posterior cricoarytenoids
2. Lateral cricoarytenoids
3. Cricothyroid
4. Thyroarytenoids

Correct answer: 1. Posterior cricoarytenoids

Explanation: Muscles which adduct the vocal cords (close the glottis) are thyroarytenoid, lateral cricoarytenoid, Interarytenoid (Transverse arytenoid), Cricothyroid.